Medial rotator of thigh is
1. Gluteus maximus
2. Obturator externus
3. Obturator internus
4. Gluteus minimus

Correct answer: 4. Gluteus minimus

Explanation: Ans: D Gluteus minimus.Medial rotation of hip joint:Tensor fasciae latae.Anterior fibres of glutei medius & minimus.